Psudeounipolar neurons are seen in :
1. Olfactory
2. Celiac ganglion
3. Spinal dorsal root ganglion
4. Cochlea

Correct answer: 3. Spinal dorsal root ganglion

Explanation: C i.e., Spinal dorsal root ganglion Pseudo-unipolar neurons is seen in dorsal spinal nerve root ganglion.Q